Hangman fracture is
1. Sublucation of C5 over C6
2. Fracture dislocation of C2
3. Fracture dislocation of ankle joint
4. Fracture of odontoid

Correct answer: 2. Fracture dislocation of C2

Explanation: Hangman fracture - through pedicle and lamina of C2 vertebra / Spondylolisthesis of C2 over C3Jefferson's fracture - through body of C1 vertebraClay Shoveler fracture - Avulsion spinous process of T1 > C7 vertebra(Refer: Mohindra's Fundamentals of Orthopedics, 2nd edition, pg no. 222)